Bollinger bodies are seen in ?
1. Chickenpox
2. Cowpox
3. Fowlpox
4. Smallpox

Correct answer: 3. Fowlpox

Explanation: Ans. is 'c' i.e., Fowl pox